Which of the following antiglaucoma medications can cause drowsiness ?
1. Latanoprost
2. Timolol
3. Brimonidine
4. Dorzolamide

Correct answer: 3. Brimonidine

Explanation: Ans. is 'c' i.e., Brimonidine o The main side effects of brimonidine are dry mouth, sedation (drowsiness) and small fall in in BP. o Simple funda to solve this question is that all oc, agonists (clonidine, brimonidine) have central action --> all ot2 agonists can cause sedation, mental depression, disturbed sleep.